Administration of scoline (Sch) produces dangerous hyperkalemia in
1. Acute renal failure (ARF)
2. Raised ICT
3. Fracture femur
4. Paraplegia

Correct answer: 4. Paraplegia

Explanation: Sch can cause dangerous hyperkalemia in burn, massive trauma, Crush injury ,Severe intraabdominal infection(sepsis),spinal cord injury, hemiplegia / paraplegia, muscular dystrophy ,GB syndrome, Rhabdomyolysis, Myasthenia Gracia, tetanus, severe parkinsonism,polyneuropathy,closed head injury, stroke ,encephalitis. Ref: Morgan 4th/e p214.